Whole thickenss of bowel is involved with skin lesions in ?
1. Crohn' disease
2. Ulcerative colitis
3. Irritable bowel disease
4. Both Crohn's and ulcerative colitis

Correct answer: 1. Crohn' disease

Explanation: Davidson's principles and practice of medicine 22nd edition. *In crohn's disease there the entire wall of bowel is oedematous and thickened involving terminal ileum ,right side colon,jejunum.